Hepatitis E usually affects ?
1. Children
2. Adults
3. Old age
4. Toddlers

Correct answer: 2. Adults

Explanation: Ans. is `b' i.e., Adults